Candle wax drippings is characteristic of?
1. Lightening
2. Thermal burns in closed chamber
3. Electrocution
4. Scalds

Correct answer: 3. Electrocution

Explanation: Candle wax drippings occurs when heat generated in electrocution melts the calcium phosphate in bone. It is a radiographic appearance.